In a neonate with the skin of soles and palms showing yellow discoloration, the approximate?level of serum bilirubin (mg/dl) will be:
1. 4 - 8 mg/dL
2. 8-16 mg/dL
3. 11-18 mg/dL
4. > 15 mg/dL

Correct answer: 4. > 15 mg/dL

Explanation: Ans. D.> 15 mg/dL.Area yellow discoloration of body in jaundiceRange of serum bilirubin (mg%)Head and neck4-8Upper trunk5-12Lower trunk and thigh8-16Arms and lower limbs11-18Palms and solesmore than 15